ATP synthetase is a marker of ?
1. Golgi apparatus
2. Mitochondria
3. Cytosol
4. Endoplasmic reticular

Correct answer: 2. Mitochondria

Explanation: Ans. is 'b' i.e., Mitochondria